Adams claps for premolar is made using the following diameter wire:
1. 0.8mm
2. 0.7 mm
3. 0.6mm
4. 0.5mm

Correct answer: 2. 0.7 mm